A 40 year old married male thinks that he is multitalented and is always overconfident. He never listens to his family or friends. Infact whenever anyone gives him any advice, he thinks that they have some motive against him. He is always suspicious of his wife. All these are feature of?
1. Borderline personality disorder
2. Schizoid personality disorder
3. Paranoid personality disorder
4. Histrionic personality disorder

Correct answer: 3. Paranoid personality disorder

Explanation: Ans. is 'c' i.e., Paranoid personality disorder Paranoid personality disorder: -* It is characterized by generalized mistrust and suspiciousness about the motives and actions of others and a tendency to interpret them as malevolent. The patient believes that:-a) Others are exploiting or deceiving the person.b) Friends are untrustworthy and not loyal.c) The spouse/partner is unfaithful.d) There is hidden meaning in neutral or friendly remarks.e) Many patients have feeling of self-importance and think they are unusually talented.